Irresistable urge to drink alcohol is known as
1. Kleptomania
2. Dipsomania
3. Pyromania
4. Trictillomania

Correct answer: 2. Dipsomania

Explanation: Dipsomania